Lifespan of fetal RBC is ?
1. Same as adult RBC
2. 1/4 of adult RBC
3. 1/2 of adult RBC
4. 2/3 of adult RBC

Correct answer: 4. 2/3 of adult RBC

Explanation: Ans. is 'd' i.e., 2/3 of adult RBC"Life span of fetal RBC is about 2/3' of the adult RBC, i.e. about 80 days."